Penicillinase resistant penicillin is-
1. Methicillin
2. Ampicillin
3. Carbenicillin
4. Ticarcillin

Correct answer: 1. Methicillin

Explanation: Ans. is 'a' i.e., Methicillin